IUGR is caused by all EXCEPT:
1. Rh incompatibility
2. Smoking
3. Anemia
4. CRF

Correct answer: 1. Rh incompatibility

Explanation: Ans. A i.e. Rh incompatibility